Internal fixation is probably needed in all of the following except
1. Fracture condyle of humerus
2. Fracture neck of femur
3. Fracture of Olecranon
4. Fracture of scaphoid

Correct answer: 4. Fracture of scaphoid

Explanation: D i.e. Fracture scaphoid Fracture neck femur, intercondylar humerus and olecranon are mostly managed by operative intervention & internal fixation; where as fracture scaphoid is usually managed conservatively by cast application.